Which of the following show regressive metamorphosis -
1. Hydatid cyst
2. Cysticercoid
3. Cysticercus bovis
4. Cysticercus cellulosae

Correct answer: 1. Hydatid cyst

Explanation: Retrogressive metamorphosis is when an organism changes from a more advanced form to a primitive one.the ruptured hydatid cyst releases protoscolices into tissues which do not develop into adult forms according to law of migration of cestodes.... but they form a new hydatid tissue against the law.... this is called regressive metamorphosis.